Earlier site of bone involvement in Hematogenous osteomyelitis
1. Metaphysis
2. Diaphysis
3. Epiphysis
4. Point of entry of nutrient artery

Correct answer: 1. Metaphysis

Explanation: Metaphysis of long bone is the earliest and most common site involved Refer Maheshwari 6th/e p 168